Most common oncogene involved in pancreatic carcinoma is:
1. P53
2. K-RAS
3. APC
4. DCC

Correct answer: 2. K-RAS

Explanation: Ans. (b) K-RASRef: Sabiston's Textbook of Surgery, 20th ed p-1543* As per Sabiston 95% cases have K ras mutation and 90% cases have P16 mutation.